Gutter fractures of the skull are most often seen with
1. Axe injury
2. Stick injury
3. Stone injury
4. Bullet injury

Correct answer: 4. Bullet injury

Explanation: Gutter fracture: seen in oblique bullet wounds a part of the thickness of the skull bone is removed so as to form a gutter/ channel/ trench. usually accompanied by comminuted depressed fracture of the inner table of skulland the fragments causing injury to the meninges and brain